Scabies, an infection of the skin caused by Sarcoptes scabiei, is an example of
1. Water borne disease
2. Water washed disease
3. Water bashed disease
4. Water related disease

Correct answer: 2. Water washed disease

Explanation: Water washed diseases: Include infections of the outer body surface which occur due to inadequate use of water or improper hygiene. Examples : Scabies, Trachoma, Typhus, Bacillary, Dysentry, Amoebic Dysentry Ref: A Dictionary Of public Health by Dr.J.kishore Pgno : 575-576